Blood supply of coronoid process of mandible is primarily from
1. Inferior alveolar artery
2. Deep temporal artery
3. Facial artery
4. Middle Meningeal artery

Correct answer: 2. Deep temporal artery